The arch length preservation can be best carried out by:
1. Placing a lingual arch
2. Restoring carious teeth
3. Placing band and loop space maintainer
4. Placing an acrylic removable space maintainer

Correct answer: 2. Restoring carious teeth